Heparin therapy is best monitored by which of the following given test?
1. Prothombin time
2. Bleeding time
3. Activated Partial Thrombo plastin Time
4. International Normalised Ration

Correct answer: 3. Activated Partial Thrombo plastin Time